All of the following structure develops in dorsal mesentery EXCEPT
1. Lienorenal ligament
2. Gastro - splenic ligament
3. Gastro - phrenic ligament
4. Lesser omentum

Correct answer: 4. Lesser omentum

Explanation: Derivatives of dorsal mesogastrium Most posterior Lienorenal / splenorenal ligament. Spleno-gastric ligament Attached to greater curvature of stomach Gastro-phrenic ligament Attaching to greater curvature of stomach & diaphragm Greater omentum Double fold of peritoneum hanging from greater curvature of Stomach.